Dead bone in X-ray is?
1. More radiolucent
2. More radiopaque
3. Same as normal bone
4. Variable

Correct answer: 2. More radiopaque

Explanation: Dead bone as seen in Avascular necrosis, Perthes disease, TB, osteomyelitis is usually more opaque than normal in X-ray.